Alpha granules of platelates contain all except ?
1. Firinogen
2. TGF-b
3. PDGF
4. ADP

Correct answer: 4. ADP

Explanation: Ans. is 'd' i.e., ADP Platelets contain two specific types of granules : ? Alpha granule - Contains fibrinogen, fibronectin, factors V & VIII, PDGF, TGF-b and platelet factor 4. Dens bodies or Sgranules -Contain ADP, Ca+2, histamine, serotonine, and epinephrine.